The anomalous relationships between placenta & the umbilical cord is seen in
1. Lobate placenta
2. Battledore placenta
3. Horse shoe placenta
4. None

Correct answer: 2. Battledore placenta

Explanation: (B) Battledore placenta# Battledore placenta: The umbilical cord is attached to margin of placenta, if associated with low implantation of placenta, there is a chance of cord compression in vaginal delivery leading to fetal anoxia or even death.